Which of the following calcium channel blocker would be useful in the treatment of supraventricular tachycardia by suppressing AV node conduction:
1. Amlodipine
2. Nimodipine
3. Verapamil
4. Nifedipine

Correct answer: 3. Verapamil